All of the following mechanisms of action of Oral contraceptive pill are true, except:
1. Inhibition of ovulation
2. Prevention of fertilization
3. Interference with implantation of fertilized ovum
4. Interference with placental functioning

Correct answer: 4. Interference with placental functioning

Explanation: Mechanisms of action of oral contraceptive pill Suppresses pituitary hormones, FSH and LH peak and through their suppression prevents ovulation. Progestogen causes atrophic changes in the endometrium and prevents nidation. Progestogen also acts on the cervical mucus making it thick and tenacious and impenetrable by sperms. Increases the tubal motility, so the fertilized egg reaches the uterine cavity before the endometrium is receptive for implantation.